The floor of the femoral triangle is formed by all EXCEPT:
1. Adductor longus
2. Psoas major
3. Pectineus
4. Sartorius

Correct answer: 4. Sartorius

Explanation: (Sartorius): Ref: 51-BDC-2, 705-6-Snell7thFemoral triangle: - As depression below the fold of the groin in the upper part of the thighBound aries: -Base - formed by the inguinal ligamentLateral border - sartorius muscleMedial border - adductor longus muscleApex - continuous below, with the adductor canalROOFFLOORCONTENTS1. Skin2. Superficial fascia containing the superficial inguinal lymph nodes, femoral branch of ganitofemoral nerve, branches of the ilioinguinal nerve, superficial branches of the femoral artery with accompanying vein's3. Deep fascia - with the saphenous opening and the cribiform fasciaMedially - Adductor longus pectineusLaterally - Iliacus Psoas major1. Femoral artery and its branches2. Femoral vein and its branches3. Femoral sheath4. Nerves* Gutter shapedI. Femoral nerveII. Nerve to the pectineusIII. Femoral branch of the genito femoral nerveIV. Lateral cutaneous nerve of the thighV. Deep inguinal lymph nodes